Maximum contribution of plasma osmolarity is by
1. Urea
2. Glucose
3. Sodium
4. Albumin

Correct answer: 3. Sodium

Explanation: Sodium is the major contributor plasma osmolarity Ref: guyton and hall textbook of medical physiology 12 edition page number: 50,51,52